Period of mixed dentition is
1. 3-5 years
2. 6-11 years
3. 12-15 years
4. 15-18 years

Correct answer: 2. 6-11 years

Explanation: Period of mixed dentition: starts from the eruption of first molar. It is usually 6-11 years and may extend to 12-13 years. Thus, Number of teeth by 2-6 years: 20 temporary Number of teeth at 7 years is 24 teeth: 4 permanent and 20 temporary teeth At the age of 10 years, 16 permanent teeth and 8 temporary teeth. At 11 years, 20 permanent teeth and 4 temporary teeth. Ref: FORENSIC MEDICINE AND TOXICOLOGY Dr PC IGNATIUS PAGE NO 80